False about the phenomenon illustrated below is:
1. The gap between the CEJ and the alveolar bone crest contains dentin only, leading to less material available in cervical region to absorb X-rays
2. The rounded cross-section of most roots accentuates this phenomenon peripherally
3. The mesial and distal surfaces of teeth show bands of burnout, which end abruptly at the alveolar bone margin
4. None of the above

Correct answer: 4. None of the above

Explanation: Diffuse radiolucent areas with ill-defined borders may be apparent radiographically on the mesial or distal aspects of teeth in the cervical regions between the edge of the enamel cap and the crest of the alveolar ridge (The gap between the CEJ and the alveolar bone crest contains dentin only). This phenomenon, called cervical burnout, is caused by the normal configuration of the affected teeth, which results in decreased X-ray absorption in the areas in question. Close inspection reveals intact edges of the proximal surfaces. The perception of these radiolucent areas results from the contrast with the adjacent, relatively opaque enamel and alveolar bone. Such radiolucencies should be anticipated in almost all teeth and should not be confused with root surface caries, which frequently have a similar appearance.